Earliest symptom of Wilms tumour is
1. Hematuria
2. Pyrexia
3. Abdominal mass
4. Metastases

Correct answer: 3. Abdominal mass

Explanation: Nephroblastoma Usually presents in the first five years of life ,Typically presents with an abdominal mass , May cause haematuria, abdominal pain or fever Metastasises to the lung . tretment is usually chemotherapy followed by nephrectomy . Eighty per cent survive long term with modern chemotherapy and surgery. The prognosis is worse in those with metastases and in older children ref : Bailey and Love 27th ed , chapter 76 , pg no :- 1421